True for superficial burns:
1. Always require skin grafting
2. Dry & inelastic
3. Blister formation
4. Painless

Correct answer: 3. Blister formation

Explanation: Ans. C i.e. Blister formation